A Carey Coomb's murmur heard in a child with mutiple joint pains is suggestive of -
1. Infective endocarditis
2. Rheumatoid arthritis
3. Rheumatic fever
4. Libman-Sack's endocarditis

Correct answer: 3. Rheumatic fever